Which of the viruses given below is NOT teratogenic?
1. Rubella
2. Cytomegalovirus
3. Herpes simplex
4. Measles

Correct answer: 4. Measles

Explanation: Measles is not a teratogenic virus. It is one of the most highly contagious directly transmitted pathogens. Newborns become susceptible to measles virus infection when passively acquired maternal antibody is lost and when they are not vaccinated. Teratogenic viruses are: Cytomegalovirus Rubella virus Varicella zoster virus Herpes simplex virus Venezuelan equine virus Cytomegalovirus is the most common cause of congenitally acquired infection. Ref: Moss W.J. (2012). Chapter 192. Measles (Rubeola). In D.L. Longo, A.S. Fauci, D.L. Kasper, S.L. Hauser, J.L. Jameson, J. Loscalzo (Eds), Harrison's Principles of Internal Medicine, 18e. Handbook of Clinical Obstetrics: The Fetus and Mother edited by E. Albert Reece, MD, PhD, 2nd edn page 94.